All of the following are true about 'ready to use therapeutic food' (RUTF) EXCEPT?
1. Each 100g contains approx. 540 kcal
2. It contains peanut paste, milk solids & oil
3. It is unpalatable and cannot be digested easily
4. It helps avoid cumbersome preparation of recipes at home

Correct answer: 3. It is unpalatable and cannot be digested easily

Explanation: RUTF -energy dense, vitamin and mineral enriched food. Made of peanut paste, milk solids, sugar & oil. Good taste and is easy for the child to eat & digest. Each 100g contains 543 kcal. Avoid cumbersome preparation of recipes at home